Sudden withdrawal of which of the following drugs could result in serious adverse cardiovascular changes in a patient taking the drug over a long time:
1. Phenelzine (MAO inhibitor)
2. Enalapril (ACE inhibitor)
3. Clonidine (α2 agonist)
4. Fluoxetine (serotonin reuptake inhibitor)

Correct answer: 3. Clonidine (α2 agonist)